Blanket/ mass treatment is indicated in all EXCEPT:
1. Trachoma
2. Malaria
3. Yaws
4. Dengue fever

Correct answer: 4. Dengue fever

Explanation: Ans. D i.e. Dengue fever